Prolonged PT and Normal PTT may be seen in:
1. Thrombocytopenia
2. DIC
3. Vit. K deficiency
4. Aspirin toxicity

Correct answer: 3. Vit. K deficiency

Explanation: Ans. (c) Vit. K deficiency(Ref: Robbins 9th/pg 656)Disease/ ConditionBTPTapTTA. Thrombocytopenia|NNB. DIC|||C. Vit. K deficiencyN|| (late)D. Aspirin toxicity|NN